Which of the following muscles does NOT take its origin from the common tendinous ring?
1. superior rectus
2. inferior rectus
3. lateral rectus
4. superior oblique

Correct answer: 4. superior oblique

Explanation: The superior oblique takes its origin from the body of the sphenoid bone, while all four rectus muscles take origin from the common tendinous ring